Time for peak plasma concentration (Tmax) indicates:
1. The rate of elimination
2. The rate of absorption
3. The onset of effect
4. The intensity of effect

Correct answer: 2. The rate of absorption

Explanation: Ans. B. The rate of absorptiona. Tmax is the time to reach maximum concentration. It depends on rate of absorptionb. Cmax is the maximum concentration achieved in plasmac. AUC is the area under concentration -time graph. It gives the bioavailability of a drug